All of the following hormones have cell surface receptors except:
1. Adrenalin
2. Growth Hormone
3. Insulin
4. Thyroxine

Correct answer: 4. Thyroxine